Masque Ecchymotique is seen in:-
1. Ligature strangulation
2. Manual strangulation
3. Traumatic asphyxia
4. Burking

Correct answer: 3. Traumatic asphyxia

Explanation: Traumatic asphyxia :Characteristic features seen are: Masque ecchymotique refers to the classical appearance of: Florid red or blue congestion of face and neck with variable involvement of the upper thorax, back and arms. Deep cyanosis of face. Numerous petechial hemorrhages or ecchymoses. Demarcation line: Level of compression is indicated by a well-defined demarcating line between the discolored upper portion of body and the lower normal part.